Multiple transverse small intestinal ulcers with undermined edges, are commonly found in patients of:
1. Typhoid
2. Tuberculosis
3. Amoebiasis
4. Regional ileitis (Crohn's disease)

Correct answer: 2. Tuberculosis

Explanation: Intestinal tuberculosis By the drinking contaminated milk Complication of protracted advanced secondary tuberculosis,secondary to the swallowing of coughed up infective material. Organisms are trapped in mucosal lymphoid aggregates of the small and large intestine- inflammatory enlargement with ulceration of theoverlying mucosa in ileum Multiple transverse small intestinal ulcers with undermined edges